What constitutes malpighian layer
1. Stratum lucidum
2. Stratum spinosum
3. Stratum granulosum
4. Stratum spinosum and basale

Correct answer: 4. Stratum spinosum and basale

Explanation: Stratum basale + stratum spinosum = malphigian layer Layers of the epidermis : Stratum basale: Deepest layer. Single layer of columnar cells on the basal lamina aka germinal layer - produces Keratinocytes Stratum spinosum: Several layers of polygonal keratinocytes attached to one another by desmosomes (responsibly for 'Spiny' appearance) Stratum granulosum: Few layers of flattened cells that are characterised by deep staining granules of keratohyalin in their cytoplasm. Stratum lucidum: This layer appears homogenous with indistinct cell boundaries & tracts of flattened nuclei. Present in areas of thick skin. Stratum corneum: Acellular layer made up of flattened scale like elements containing keratin filaments embedded in protein.